Patient treated at home is alloted what color code according to IMNCI color coding -
1. Pink
2. Red
3. Green
4. Yellow

Correct answer: 3. Green

Explanation: according to integaed case management under IMNCI Green colour - home , caretaker is given advice on how to give oral drugs,treat local infections at home,continue feeding,when to return immediately,follow up. Yellow- out patient health facility Treat local infection,give oral drugs ,advice and teach care taker,follow up. Pink- out patient health facility- prerefferal treatments,advise patients,refer child, Parks textbook of preventive and social medicine.K Park. Edition 23.Pg no: 460